Foot eversion is caused by
1. Extensor digitorum
2. Peroneus longus
3. Tibialis anterior
4. Tibialis posterior

Correct answer: 2. Peroneus longus

Explanation: Foot eversion occurs at subtalar joint by Peroneus longus, Peroneus brevis and Peronius Teius. Inversion of foot done by Tibialis anterior and Tibialis posterior.